True about HIV
1. Not transmitted through semen
2. More chances of transmission during LSCS than normal labour
3. More infectious than hepatitis B
4. Male to female transmission > female to male

Correct answer: 4. Male to female transmission > female to male

Explanation: (D) Male to female transmission > female to male > One reason for high incidence of HIV infection in male homosexuals is because of large numbers of sexual partners they have> Homosexual and bisexual men are more affected more than heterosexuals.> Male to female propagation is more because of large receptive area in females.> More chances of transmission during normal labuor, therefore LSCS is perferred.> Hepatitis B is more infectious than HIV.